The dentist to population ratio according to the Bhore Committee:
1. 1 : 6,000
2. 1 : 4,000
3. 1 : 2,000
4. 0.5625

Correct answer: 2. 1 : 4,000

Explanation: The Government of India in 1943 appointed the Health Survey and Development Committee with Sir Joseph Bhore as Chairman. 
The Committee visualised the development of primary health centres in 2 stages: 

As a short-term measure, it was proposed that each primary health centre in the rural areas should cater to a population of 40,000 with a secondary health centre to serve as a supervisory, coordinating and referral institution. For each PHC, two medical officers, 4 public health nurses, one nurse, 4 midwives, 4 trained dais, 2 sanitary inspectors, 2 health assistants, one pharmacist, and 15 other class IV employees were recommended.
A long-term programme (also called the 3 million plan) of setting up primary health units with 75-bedded hospitals for each 10,000 to 20,000 population and secondary units with 650-bedded hospitals, again regionalized around district hospitals with 2,500 beds.
He also recommended 1:4000 dentist to population ratio according to the Bhore Committee.

Park textbook of preventive and social medicine
 23rd edition